Cause of DIC does not include
1. Falciparum malaria
2. Trauma
3. Carcinoma pancreas
4. AML M1

Correct answer: 4. AML M1

Explanation: Causes of disseminated intravascular coagulation include , massive tissue injury as in obstetrical syndrome, trauma, metastatic malignancies in surgery Infections especially endotoxemia ,Gram Negative and meningococcal septicemia ,certain viral infections ,malaria ,aspergillosis Widespread endothelial damage as in aortic aneurysm ,hemolytic- uremic syndrome, severe burns, acute Glomerulonephritis. Miscellaneous Snake bite shock ,acute intravascular hemolysis ,heart stroke Reference textbook of Pathology 7th edition author Harsha Mohan page number 315 Ref Robbins 9/e pg 450